The rotator cuff is composed of the following muscles EXCEPT:
1. Teres minor
2. Supraspinatus
3. Infraspinatus
4. Teres major

Correct answer: 4. Teres major

Explanation: ANSWER: (D) Teres majorREF: Rockwood 6th Ed Pg 1303, Manual of Orthopaedics, 6th Edition Ch 16The muscle tendon units of the Supraspinatus, Infraspinatus, Subscapularis t and Teres Minor compose the rotator cuff.Each has its own specific muscle body but they coalesce together into one tendon as they pass through the subacromial space.The rotator cuff serves to support the gleno-humeral joint, which is otherwise very prone to dislocation.The rotator cuff is deficient inferiorly, & hence, the it is the weakest part of the shoulder joint capsule.Rotator interval is the interval between leading edge of Supraspinatus 8t superior edge of Subscapularis. Coracohumeral ligament passes within the rotator interval.